All of the following are associated with non-ketotic hypoglycemia, EXCEPT:
1. Von Gierke's disease
2. Insulinoma
3. Carnitine deficiency
4. MCAD deficiency

Correct answer: 1. Von Gierke's disease

Explanation: Von Gierke's disease leads to ketotic hypoglycemia Hypoglycemia is of two types Ketotic hypoglycemia Non-ketotic hypoglycemia Von Gierke's disease Alcoholism When ketone bodies are formed in response to hypoglycemia, which is also a normal body's response to hypoglycemia Insulinoma hypoglycemia ( insulin decreases blood glucose) Ketone bodies are not formed insulin inhibits the formation of ketone bodies. Defects in beta-oxidation Carnitine deficiency, MCAD Jamaican vomiting sickness